In wound injury sequence of appearance of cells is -
1. Macrophage --> Platelet --> Neutrophils --> Fibroblast
2. Neutrophils --> Macrophages -4 Platelet -4 Fibroblast
3. Platelet -4 Neutrophils --> Macrophages --> Fibroblast
4. Platelet -4 Macrophages --> Neutrophils --> Fibroblast

Correct answer: 3. Platelet -4 Neutrophils --> Macrophages --> Fibroblast

Explanation: Ans. is 'c' i.e., Platelet --> Neutrophils --> Macrophages --> Fibroblast